Characteristic features of Rokitanski-Kuster Hauser syndrome are all of the following except:
1. Absent uterus
2. Absent vagina
3. Anovulation
4. 46-XX

Correct answer: 3. Anovulation

Explanation: Answer is C (Anovulation): Ovaries are normal and there is no reason for. anovulation. Meyer-Rokitansky-Kuster-Hauser Syndrome Absent vagina in a non functional uterus in a normal female (who is XX) Absent uterus with vaginal aplasia may thus be a feature of this syndrome.